The most frequent cause of scalded skin syndrome is
1. Staphylococci
2. Pneumococci
3. Enterococci
4. Meningococci

Correct answer: 1. Staphylococci

Explanation: Scalded skin syndrome is caused by Staphylococcus aureus. It is an exfoliative disease in which the outer layer of epidermis gets separated from the underlying tissues. The severe form of SSSS is known as Ritter's disease in newborn and toxic epidermal necrolysis in older patients. Ref: Textbook of Microbiology; Ananthanarayanan and Panicker; 10th Edition; pg:204